Severity of mitral stenosis is best identified by?
1. Loud S1
2. Loud opening snap
3. Duration of mid-diastolic murmur
4. Intensity of mid-diastolic murmur

Correct answer: 3. Duration of mid-diastolic murmur

Explanation: Severity of mitral Stenosis Implies that the mitral valve orifice has become smaller in size. So, blood will take longer to go from left atrium to left ventricle. Therefore, length of murmur will increase.